Causative organism of Angular conjunctivitis
1. Corynebacterium diphtheriae
2. Pneumococcus
3. Moraxella axenfeld
4. Streptococcus hemolyticus

Correct answer: 3. Moraxella axenfeld

Explanation: Causative organism of Angular conjunctivitis Moraxella Axenfeld.